Which drug of anaesthetics causes hallucination –
1. Ketamine
2. Trilene
3. Halothane
4. Trichloroethylene

Correct answer: 1. Ketamine

Explanation: Ketamine causes emergence reaction (emergence delirium) and hallucination.